Lymphatics of suprarenal gland drain into______ lymph nodes
1. Internal iliac
2. Para-aortic
3. Superficial inguinal
4. Coeliac

Correct answer: 2. Para-aortic

Explanation: Ans. b (Para-aortic nodes) (Ref BDC vol. 2 /4th/307)Lymphatics of adrenal/suprarenal gland drain into lateral/para-aortic nodes.Lymphatic Drainage of the Suprarenal Glands# The lymph vessels arise from a plexus deep to the capsule and from one in the medulla.# Most of lymphatics that leave the suprarenal glands end in superior lumbar (lateral aortic) lymph nodes.# The two main lymph node groups of the abdomen are closely related to the aorta. These comprise the pre-aortic and para-aortic groups.# The pre-aortic nodes are arranged around the three ventral branches of the aorta and consequently receive lymph from the territories that are supplied by these branches. This includes most of the gastrointestinal tract, liver, gall bladder, spleen and pancreas. The efferent vessels from the pre-aortic nodes coalesce to form a variable number of intestinal trunks that deliver the lymph to the cistema chyli.# The para-aortic nodes are arranged around the lateral branches of the aorta and drain lymph from their corresponding territories, i.e., the kidneys, adrenal, gonads and abdominal wall, as well as the common iliac nodes. The efferent vessels from the para-aortic nodes coalesce to form a variable number of lumbar trunks which deliver the lymph to the cisterna chyli.# Cisterna chyli: is a lymphatic sac that lies anterior to the bodies of the LI and L2. It is formed by the confluence of the intestinal trunks, the lumbar trunks and lymphatics from the lower thoracic wall. It reseives lymph from the abdomen and lower limbs which is then drained into beginning of L. Brachiocephalic vein.Additional Educational points:Arterial Supply of the Suprarenal Glands1. The aorta (one or more middle suprarenal arteries):2. The inferior phrenic artery (6-8 superior suprarenal arteries);3. The renal artery (one or more inferior suprarenal arteries).Venous Drainage of the Suprarenal Glands# These glands are drained mainly be a single, large suprarenal vein.# The right one drains into the IVC.# The left one joins the left renal vein.# There are also many small veins that accompany the suprarenal arteries.Innervation of the Suprarenal Glands# These glands have a rich innervation from the adjacent coeliac plexus and the greater thoracic splanchnic nerves.# These preganglionic sympathetic fibres pass through the hilum and synapse on cells in the medulla.# The suprarenal cortex receives only a vasomotor nerve supply.